Shortest fetal skull diameter is
1. Bimastoid
2. Submentovertical
3. Submentobregmatic
4. Occipito-fronta!

Correct answer: 1. Bimastoid

Explanation: Ans: A (Bimastoid) Ref: Dana textbook of obstetrics 5th ed pg 85Explanation: (See the following figure and table)